Hydrostatic test is used to determine -
1. Presence of smegma
2. Live birth
3. Criminal abortion
4. Buccal coitus

Correct answer: 2. Live birth

Explanation: Ans. is 'b' i.e., Live birth * Has been explained in previous sessions